Most common cause of nephrolithiasis is?
1. Hypocitraturia
2. Hyperoxaluria
3. Hyperuricosuria
4. Idiopathic hypercalciuria

Correct answer: 4. Idiopathic hypercalciuria

Explanation: Hypercalciuria is the most common abnormality identified in calcium stone formers . The most common component of urinary calculi is calcium, which is a major constituent of nearly 80% of stones. Calcium oxalate comprises about 60% of all stones; mixed calcium oxalate and hydroxyapatite make up 20% ref : Campbell and Walsh Urology 11th edition , chapter 51 , pg no :- 1182